The following are true of primary thyrotoxicosis, EXCEPT
1. Tremors
2. Warm extremities
3. Diarrhea
4. Intolerance to cold

Correct answer: 4. Intolerance to cold